Which of the following correlates well to overcoming of limiting amino acids in diet:
1. Rancidity
2. Tertiary structure of
3. Biological value
4. Complementary action of proteins

Correct answer: 4. Complementary action of proteins

Explanation: Ans. D i.e. Complementary action of proteins A varied diet that includes different types of food will contain all the amino acids that an individual needs. If a food lacking in an amino acid is eaten with another food which contains it, then the second food compensates for the first and vice versa. This is called the complementary action of proteins